All of the following are true about multiple myeloma except?
1. Osteolytic bone disease
2. t (8-14) translocation
3. Light chain proliferation
4. Bence-jonesproteins in urine

Correct answer: 2. t (8-14) translocation

Explanation: Answer is B (Translocation t (8;14)) Multiple myeloma is not associated with translocation t(8;14). The two most common translocation seen in patients with Multiple Myeloma are a I I; 14) and t(4;14). Both these translocations occur with almost similar frequencies, however the incidence of translocation 01;14) appears to be marginally higher. Patients with t(4; 14) fall within a poor prognosis subgroup, while those with t(I 1; 14) have a standard risk.